Best way to sterilize all-glass syringes is:
1. Boiling
2. Autoclave
3. Hot air oven
4. Formaldehyde

Correct answer: 3. Hot air oven

Explanation: Ans. C: Hot air oven Dry heat can be used to sterilize items, but as the heat takes much longer to be transferred to the organism. The standard setting for a hot air oven is at least two hours at 160 degC (320 degF). It is used to sterilise glassware, forceps, scissors, scalpels, all-glass syringes, swabs, liquid paraffin etc. A rapid method heats air to 190 degC (374 degF) for 6 minutes for unwrapped objects and 12 minutes for wrapped objects. Dry heat has the advantage that it can be used on powders and other heat-stable items that are adversely affected by steam.